Which type of cattle poisoning occurs due to ingestion of LINSEED plant:
1. Aconite
2. Pilocarpine
3. Atropine
4. Hydro cyanic acid

Correct answer: 4. Hydro cyanic acid

Explanation: D i.e. Hydrocyanic acid